All are the features of rheumatoid ahitis except?
1. Osteosclerosis of joint
2. Soft tissue swelling
3. Narrowing of joint space
4. Periarticular osteoporosis

Correct answer: 1. Osteosclerosis of joint

Explanation: Ans. is 'a' i.e., Osteosclerosis of joint Radiological features of RA Following features are seen on X-ray :- Reduced joint space Erosion of articular margins Subchondral cysts Juxta-articular rarefaction Soft tissue shadow at the level of the joint because of joint effusion or synovial hypertrophy Deformities of the hand and fingers Periarticular osteopenia (osteoporosis)